The technique of home bleaching prescribed by dentist
1. Walking bleach
2. Night guard
3. Both
4. None.

Correct answer: 2. Night guard

Explanation: Although a 3% ether and peroxide mouthwash used for bleaching in 1893 has been reported in the literature, the “dentist-prescribed, home-applied” technique (also referred to as nightguard vital bleaching or at-home bleaching) for bleaching vital teeth outside the oice began around 1968, although it was not commonly known until the late 1980s.
Walking bleach is a non vital bleaching procedure.